Predisposing factors for skin cancer are – a) Smokingb) UV–lightc) Chronic ulcerd) Infrared light
1. a
2. c
3. bc
4. ad

Correct answer: 3. bc

Explanation: UV rays and chronic ulcers are predisposing factors for squamous cell carcinoma of skin.
Note -Cigarette smoking is predisposing factor for SCC of lips and oral cavity (but not skin).